Which of the following is the best inotrope agent for use in Right Heart Failure Secondary to pulmonary hypertension -
1. Dobutamine
2. Digoxin
3. Milrinone
4. Halothane

Correct answer: 3. Milrinone